All of the following are causes of pancytopenia with cellular bone marrow except:
1. Paroxysomal noctural hemoglobinuria
2. Dyskeratosis congenita
3. Megaloblastic anemia
4. Hairy cell leukemia

Correct answer: 2. Dyskeratosis congenita

Explanation: Answer is B (Dyskeratosis congenita) Dyskeratosis congenita is associated with Pancytopenia and a hypocellular marrow.